Which of the following vaccines is NOT contraindicated in pregnancy in normal circumstances?
1. Zoster vaccine
2. Varicella vaccine
3. Influenza live vaccine
4. Hepatitis B vaccine

Correct answer: 4. Hepatitis B vaccine

Explanation: Pregnancy is not a contraindication or precaution for Hepatitis B vaccine. Principle: Live-virus vaccines are contraindicated during pregnancy because of the possibility that vaccine virus replication will cause congenital infection or have other adverse effects on the foetus. Must Know - Zoster vaccine is contraindicated in pregnancy. It is a live attenuated vaccine. It is also contraindicated in gelatine or neomycin hypersensitivity, in age Varicella vaccine is contraindicated in pregnancy. It is a live attenuated vaccine. It is also contraindicated in gelatine or neomycin hypersensitivity and known severe immunodeficiency. Note - Influenza live attenuated vaccine is contraindicated in a range of conditions: pregnancy, hypersensitivity to eggs, age > 50, Immunosupression (including HIV), severe immunodeficiency and close contacts of immuno-deficient patients. It is also contraindicated in chronic medical conditions, such as diabetes mellitus, chronic pulmonary disease (including asthma), chronic cardiovascular disease (except hypertension), renal, hepatic, neurologic/neuromuscular, hematologic, or metabolic disorders. Ref: Schuchat A., Jackson L.A. (2012). Chapter 122. Immunization Principles and Vaccine Use. In D.L. Longo, A.S. Fauci, D.L. Kasper, S.L. Hauser, J.L. Jameson, J. Loscalzo (Eds), Harrison's Principles of Internal Medicine, 18e.